Tumour marker of endodermal sinus tumour of ovary :
1. a feto proteins
2. CA 125
3. HCG
4. CEA

Correct answer: 1. a feto proteins

Explanation: a feto proteins